Maximum punishment that can be awarded by second class judicial magistrate court
1. 7 year imprisonment, any amount fine
2. 3 yr imprisonment, ,Rs 10,000/ fine
3. 1 yr imprisonment,Rs. 5000/ fine
4. Death sentence

Correct answer: 3. 1 yr imprisonment,Rs. 5000/ fine

Explanation: Judicial Magistrate (Second Class) can pass sentence of imprisonment for a term not exceeding 1 year or of fine not exceeding 5000, or both Ref : Krishnan vij Textbook of Forensic medicine and Toxicology 5th edtion ; pg no - 5